Best method of sera sterilization is:
1. Filtration
2. Autoclaving
3. Radiation
4. Heating

Correct answer: 1. Filtration

Explanation: Filtration is the best method of sterilization of heat labile liquids such as sera and solutions of sugars or antibiotics, toxins and vaccines. It helps to remove bacteria.